In cryptorchidism, hallmark histological changes appear in testis at:
1. 4 months
2. 6 months
3. 8 months
4. 1 year

Correct answer: 4. 1 year

Explanation: Histopathology- Abnormal germ cell histology- 1-2 Years:* Earliest change - Hypoplasia of Leydig cells (1 month of age)- Degeneration of Sertoli Cells- Delayed disappearance of gonocytes- Delayed appearance of adult dark spermatogonia